Commonest causative organism for ASOM in 2 years child is:
1. Pneumococcus
2. H. influenzae
3. Staphylococcus
4. Streptococcus

Correct answer: 1. Pneumococcus

Explanation: Most common cause of acute otitis media:Streptococcus pneumonia / pneumococcus (35-40% cases)H. influenza (25-30%)M. catarrhalis (10-20%)